Most common site of CIN is :
1. Squamo-coiumnar junction
2. Ectocervix
3. Endocervix
4. Nabothian gland

Correct answer: 1. Squamo-coiumnar junction

Explanation: Ans: A (Squmao...) "CIN: The metaplasia extends from the original squamocolumnar junction( squamosquamous) outside to the newly deve!oped(physio!ogicallv active) squamocolumnar junction(nowr squamocolumnar) inside. This area is transformation zone"- Dutta Gynae. 6th/321